End product of purine metabolism is?
1. Alanine
2. Uric acid
3. Ammonia
4. Allantoin

Correct answer: 2. Uric acid

Explanation: ANSWER: (B) Uric addREF: Biochemistry 3rd edition by S C Rastogi page 366,In humans and higher primates, uric acid is the final oxidation (breakdown) product of purine metabolism and is excreted in urine.AUantoin is a natural end product of purine metabolism in most mammals other than humans.